26 yr old second time pregnant woman, who had one previous delivery of twins, now visits ANC OPD for routine check up. She is sure of her dates and is now at 36 weeks gestation. What is her obstetric score?
1. G2P1L2
2. G3P2L2
3. G2P2L2
4. G3P3L2

Correct answer: 1. G2P1L2

Explanation: Gravida describes the total number of confirmed pregnancies that a woman has had, regardless of the outcome. Parity is defined as the number of births that a woman has had after 20 weeks gestation. The number of fetuses does not determine the parity. Twin pregnancy carried to viable gestational age is counted as 1 parity and 2 live children. In above case , obstetric score is G2P1L2